Right ovarian vein drains into:
1. IVC
2. Right renal vein
3. Hemi azygos vein
4. Inferior mesenteric vein

Correct answer: 1. IVC

Explanation: Ans. A IVCRef: BDC, 6th ed./Vol. II pg. 236The right gonadal vein (ovarian/testicular) and the right adrenal vein both directly drain into inferior vena cava. In contrast the left adrenal and left gonadal veins drain into left renal veins, which then drains into inferior vena cava.Extra Mile* The hemiazygos receive the venous drainage from the lateral body wall on the left side of the thorax and abdomen. No visceral organs drain directly to azygos or hemiazygos veins.* Inferior mesenteric vein receives venous drainage from the lower part of the intestinal tract